A 45 year old male patient complains of fever, weakness and loss of appetite. General physical examination reveals splenomegaly. Histopathologic examination reveals LAP score of 10. This patient may be suffering from?
1. Thrombocytosis
2. Polycythemia vera
3. Chronic myeloid leukemia
4. Myelofibrosis

Correct answer: 3. Chronic myeloid leukemia

Explanation: Myeloproliferative disorders: